Sample of spinal cord preseved in: (Repeat)
1. Strychnine poisoning
2. Arsenic poisoning
3. Yellow Oleander poisoning
4. Nerve gas poisoning

Correct answer: 1. Strychnine poisoning

Explanation: Ans: A (Strychnine poisoning) Ref: The Essentials of Forensic Medicine and Toxicology by KS Narayan Reddy. 29th edition. 2010. Pg:Explanation:Refer 2011 Forensic medicine question explanation